Role of somatomedin in fat metabolism
1. Antilipolytic
2. Lipolytic
3. Ketogenic
4. glucogenic

Correct answer: 1. Antilipolytic

Explanation: Antilipolytic

Like insulin, somatomedin (also called insulin-like growth factor) has antilipolytic effect.